True about vaginal hydrocele is :
1. It remains in the scrotum
2. Confined to spermatic cord
3. Confined to inguinal canal
4. Communicates with peritoneal canal

Correct answer: 1. It remains in the scrotum

Explanation: A. i.e. It remains in the scrotum Hydrocele is an abnormal collection of fluid with in some part of processes vaginalis, usually the tunica. Vaginal Hydrocele is most common & accumulation of fluid is with in tunica vaginalis so the swelling remains scrotal. Treatment of Hydrocele is by excision of sac (Lord's procedure) and by eversion of sac (Joboulay's procedure). Hydrocele of canal of Nuck is similar to encysted hydrocele but occurs in females & cyst lies in relation to round ligament. Unlike hydrocele of cord hydrocele of canal of nuck is always at least partially with in inguinal canal